Regarding the lipid or liposomal formulations of amphotericin B, which of the following statements is accurate ?
1. They are less expensive to use than conventional amphotericin B
2. They are more effective in fungal infections than conventional preparations because they increase tissue uptake of amphotericin B
3. They may decrease the nephrotoxicity of amphotericin B
4. They have wider spectrum of antifungal activity than conventional formulations of amphotericin B

Correct answer: 3. They may decrease the nephrotoxicity of amphotericin B